Disease not under integrated disease surveillance project is?
1. TB
2. Meningoencephalitis
3. Cholera
4. Herpes Zoster

Correct answer: 4. Herpes Zoster

Explanation: Ans. is `d' i.e., Herpes Zoster